Which of the following hormones are raised in PraderWilli syndrome?
1. Growth Hormone (GH)
2. Leuteinizing Hormone (LH)
3. Follicle Stimulating Hormone
4. Ghrelin

Correct answer: 4. Ghrelin

Explanation: Prader-Willi syndrome: Due to silencing of paternal copy of UBE 3A gene on chr 15 C/F- obesity- | Ghrelin Short stature Intellectual disability Hypotonia Hypogonadism